Child of 6 weeks with Hemoglobin of 10 gm% pale on examination, diagnosis is ?
1. Physiological anemia
2. Pathological anemia
3. Thalassemia
4. Iron dificiency anemia

Correct answer: 1. Physiological anemia

Explanation: Ans. is 'a' i.e., Physiological anemia Physiologic Anemia of Infancy Hemoglobin drops to low point at age 6 to 8 weeks Erythropoietin nadir drops Hemoglobin Term Infants: Hemoglobin drops to 9-11 g/dl Preterm Infants: Hemoglobin drops to 7-9 g/dl No work-up or treatment unless Hemoglobin lower than expected Other point ? Hemoglobin g/dl cut off- . (WHO/UNU-1996) 6mo-5yr <11.0; 5-11 yr - 11.5; 12-13 yr -12.0g/d1; Men - 13.0 Women Non-pregnant - 12.0;Pregnant - 11.0